Antibiotic of choice for acute epiglottitis is:
1. Tetracycline
2. Chloramphenicol
3. Cephalosporin
4. Penicillin

Correct answer: 3. Cephalosporin

Explanation: Earlier ampicillin has been the drug of choice. Now cephalosporins of second and third generations (cefuroxime, cefotaxime and ceftriaxone) are preferred. Chloramphenicol is also effective but is more toxic compared to cephalosporins.